Which cell organelle contains DNA
1. Mitochondrion
2. Golgi body
3. Endoplasmic reticulum
4. Centriole

Correct answer: 1. Mitochondrion